Widening of intercondylar notch of femur is seen in
1. Osteoarthritis
2. Rheumatoid arthritis
3. Hemophiliac Artheopathy
4. Charcot's joint

Correct answer: 3. Hemophiliac Artheopathy